At autopsy, the cyanide poisoning case will show the following features, except:
1. Characteristic bitter lemon smell.
2. Congested organs.
3. The skin may be pinkish or cherry red in colour.
4. Erosion and haemorrhages in oesophagus and stomach

Correct answer: 1. Characteristic bitter lemon smell.

Explanation: A i.e. Characteristic bitter lemon smell Cyanide poisoning is associated with a characteristic smell of bitter almonds and not of bitter lemon